Fasting Blood Sugar (FBS) of a population is known to be normally distributed, with a mean of 105 mg% and standard deviation of 10 mg%. Thus 95% of the population will have FBS within -
1. 104 and 106
2. 95 and 115
3. 85 and 125
4. 75 and 135

Correct answer: 3. 85 and 125

Explanation: 95% of the population will have FBS within 2 Standard Deviation (±2SD) of the mean.
Since the mean FBS is 105 mg% and the standard deviation is 10 mg%, 95% of the population will have FBS between 105 ± 2SD i.e. 105 ± 20 i.e. 85 and 125.